A person presents with acute poisoning, with chills and rigors similar to malaria. Most likely poisoning is with:
1. Mercury
2. Zinc
3. Red phosphorus
4. Arsenic

Correct answer: 2. Zinc

Explanation: Ans. Zinc